Kuss mauls sign is seen in all except
1. Constrictive pericarditis
2. Right vertricular infarct
3. Restictive cardiomyopathy
4. Cardiac tamponade

Correct answer: 4. Cardiac tamponade

Explanation: Kussmaul sign is a paradoxical rise in jugular venous pressure (JVP) on inspiration, or a failure in the appropriate fall of the JVP with inspiration. It can be seen in some forms of heart disease and is usually indicative of limited right ventricular filling due to right heart dysfunction. Ref Davidson 23rd edition pg 450